Kallu a 30 year old man, presented with subcutaneous itchy nodules over the left iliac crest. On examination they are firm, non tender and mobile. Skin scrapping contains microfilaria and adults worms of-
1. Loa Loa
2. Onchocerca volvulus
3. Brugia malayi
4. Mansonella persutans

Correct answer: 2. Onchocerca volvulus